All of the following cell types contain the enzyme telomerase which protects the length of telomeres at the end of chromosomes, except:
1. Germinal
2. Somatic
3. Hemopoietic
4. Tumor

Correct answer: 2. Somatic

Explanation: Telomerase is the enzyme responsible for telomere synthesis and is responsible for maintaining the length of the telomere. Telomerase enzyme is not present in somatic cells. Ref: Lippincott's Illustrated Reviews: Biochemistry, 3rd Edition, Chapter 29, Page 405